Not product of transcription:
1. tRNA
2. mRNA
3. rRNA
4. cDNA

Correct answer: 4. cDNA

Explanation: D i.e. C-DNA; E i.e. New strand of DNA